The current treatment of antrochoanal polyp in a 30-year-old man is:
1. Intranasal polypectomy
2. Caldwell-Luc operation
3. Endoscopic sinus surgery
4. Lateral rhinotomy and excision

Correct answer: 3. Endoscopic sinus surgery

Explanation: Antrochoanal polyp originates from within the maxillary antrum, comes out of its accessory ostium into the nose and then grows towards the nasopharynx.Earlier it was removed in adults by Caldwell-Luc operation to excise its antral origin to prevent recurrence. Caldwell-Luc operation is avoided in children so as not to interfere with maxillary growth and roots of the developing teeth. And the only treatment in children was intranasal removal of polyp, though at the expense of recurrence. Nevertheless, these days polyp with its stalk can be removed by endoscopic sinus surgery.